Drug contraindicated in patient with rheumatic heart disease in postpartum hemorrhage is:
1. Oxytocin infusion
2. Methyl ergometrine
3. Misoprostol
4. Carboprost

Correct answer: 2. Methyl ergometrine

Explanation: Ergot alkaloids directly stimulate the uterine muscles, increasing contractile strength. Cardiac patients should not receive ergotamine because these agents cause significant vasoconstriction and elevation of blood pressure. They may cause myocardial ischemia and infarction. They are contraindicated in women who are, or may become, pregnant because the drugs may cause fetal distress and miscarriage. Ergot alkaloids also are contraindicated in, Peripheral vascular disease Coronary artery disease Hypertension especially pre-eclampsia Impaired hepatic or renal function Sepsis Ergot alkaloids should not be taken within 24 hours of the use of the triptans, and should not be used concurrently with other drugs that can cause vasoconstriction. Ref: Sanders-Bush E., Hazelwood L. (2011). Chapter 13. 5-Hydroxytryptamine (Serotonin) and Dopamine. In L.L. Brunton, B.A. Chabner, B.C. Knollmann (Eds), Goodman & Gilman's The Pharmacological Basis of Therapeutics, 12e.